Muscles forming boundaries of carotid triangle are all except
1. Posterior belly of digastric
2. Superior belly of omohyoid
3. Inferior belly of omohyoid
4. Sternocleidomastoid

Correct answer: 3. Inferior belly of omohyoid

Explanation: Boundaries of carotid triangle are :

Anterosuperiorly – posterior belly of digastric.
Anteroinferiorly – superior belly of omohyoid.
Posteriorly – sternocleidomastoid muscle.